Amplification of N-Myc is associated with which a tumor?
1. Neuroblastoma
2. Retinoblastoma
3. Osteosarcoma
4. Neuroma

Correct answer: 1. Neuroblastoma

Explanation: Amplification of N-Myc is associated with a variety of tumors, most notably neuroblastomas.
This gene is a member of the MYC family of transcription factors and encodes a protein with a basic helix-loop-helix (bHLH) domain. This protein is located in the nucleus and must dimerize with another bHLH protein in order to bind DNA.